Osteogenesis imperfecta is due to
1. Defective synthesis of type I collagen
2. Growth hormone dysfunction
3. Inborn error of the methionine metabolism
4. Boney abnormality confined to the metaphysis

Correct answer: 1. Defective synthesis of type I collagen

Explanation: (Defective synthesis of type I collagen) (153-55-A)Osteogenesis Imperfecta (brittle bones) 1:20,000It is basically a connective tissue disorder (defective synthesis of type I collagen) heterogenous disorders1. Osteopenia2. Propensity to fracture3. Laxity of ligaments4. Blue sclerae5. Crumbling teeth or dentinogenesisType I collagen (Bone, ligament, tendon and skin)Type II collagen (Cartilage)Type III collagen (Blood vessels, muscle and skin)Humocvstinuria - is in bom error of methionine metabolism